A neonate presents with congestive heart failure, on examination enlarging fontanelIae, bruit on auscultation, on USG shows midline hypoechoeic lesion, most likely diagnosis:
1. Malformation of vein of galen
2. Aqueduct stenosis
3. Arachnoid cyst
4. Medulloblastoma.

Correct answer: 1. Malformation of vein of galen

Explanation: Ans. Malformation of vein of galen